All of the following are used for treatment of stiff person syndrome, EXCEPT:
1. Diazepam
2. Valproate
3. IV Ig
4. None of the above

Correct answer: 4. None of the above

Explanation: Optimal treatment of stiff-person syndrome requires therapy of the underlying tumor, glucocorticoids, and symptomatic use of drugs that enhance GABA-ergic transmission (diazepam, baclofen, sodium valproate, tiagabine, vigabatrin). A benefit of IVIg has been demonstrated for the nonparaneoplastic disorder but remains to be established for the paraneoplastic syndrome. Ref: Harrison's principle of internal medicine 17th edition, chapter 97